Water hammer pulse seen in -
1. Aortic stenosis
2. Aortic regurgitation
3. Aortic stenosis and Aortic regurgitation
4. Mitral regurgitation

Correct answer: 2. Aortic regurgitation